Pancytopenia with cellular marrow is seen in all Except:
1. Megaloblastic anemia
2. Myelodysplasia
3. Paroxysmal nocturnal hemoglobinuria
4. G6 PD deficiency

Correct answer: 4. G6 PD deficiency

Explanation: Answer is D (G-6PD Deficiency) Glucose - 6 - PD Deficiency is not associated with Pancytopenia and a cellular marrow Myelodysplasias, PNH and Megaloblastic anemia (Vit B12,Folate deficiency) may present with Pancytopenia and a cellular marrow.